Complication of OCP are all EXCEPT :
1. Weight loss
2. Hyperlipidemia
3. Hypertension
4. Depression

Correct answer: 1. Weight loss

Explanation: Weight loss